Most common malignant bone tumors
1. Osteogenic sarcoma
2. Secondaries
3. Osteoma
4. Enchondroma

Correct answer: 2. Secondaries

Explanation: Metastatic tumors are the most common form of skeletal malignancy. Refer Robbins page no 8/e 1236p